Fulminant Hepatitis E is typically seen in:
1. Pregnant women
2. Infants
3. Adolescents
4. Malnourished males

Correct answer: 1. Pregnant women

Explanation: Answer is A (Pregnant women): Fuhninant Hepatitis E is typically seen in pregnant women especially in the last trimester. 'A unique feature of Hepatitis E virus is the clinical severity and high case fatality rate (20-40%) in pregnant women, especially in the last trimester ofpregnancy'. - Park 'Hepatitis E can lead to falminant hepatitis which happens most frequently amongst pregnant women than any other subgroup' - De Swiet's Medical Disorder in Obstetric Practice.